In humans, cryptosporidiosis presents as ?
1. Meningitis
2. Diarrhea
3. Pneumonia
4. Hepatitis

Correct answer: 2. Diarrhea

Explanation: Ans. is 'b' i.e., Diarrhea